Myoglobin binds to -------------------- molecules of O2
1. 1
2. 2
3. 3
4. 4

Correct answer: 1. 1

Explanation: MYOGLOBIN Myoglobin is an iron-containing pigment found in skeletal muscle. It resembles hemoglobin but binds 1 rather than 4 mol of O 2 per mole. Its dissociation curve is a rectangular hyperbola rather than a sigmoid curve. Because its curve is to the left of the hemoglobin curve, it takes up O 2 from hemoglobin in the blood. It releases O 2 only at low P O2 values, but the P O2 in exercising muscle is close to zero. The myoglobin content is great- est in muscles specialized for sustained contraction. The muscle blood supply is compressed during such contractions, and myoglobin may provide O2 when blood flow is cut off.Ref: Ganong Review of Medical Physiology 23rd edition Page no: 611